Staphylococcal conjunctivitis is associated with all except:
1. Corneal margin infiltration
2. Phlyctenular conjunctivitis
3. Vernal conjunctivitis
4. All

Correct answer: 3. Vernal conjunctivitis

Explanation: C i.e. Vernal conjunctivitis Staphylococcus has been mentioned as a causative organism for bacterial conjunctivitis which can present as Acute Purulent/Muco-purulent Conjuntivitis, Membranous/Pseuo-Membranous Conjunctivitis or Ophthalmia Neonatorum. And, corneal marginal ulcer Q is a complication of Acute Purulent/ Muco-purulent Conjuntivitis. Apart from this Phlectenular conjunctivitis Q often results from allergic reaction to endogenous staphylococcal proteins, and is often complicated by Muco-purulent Conjuntivitis which is most commonly due to staphylococcus. Vernal and Follicular Conjunctivitis() have differen etiologies and are not related to staphylococcus. As for Hordeolum Q (External/Stye i.e. inflammation of Glnds of Zies/Moll & Internal i.e. infected Chalazion) is most commonly caused by staphylococcus but has not been mentioned as being relate to staphylococcal conjunctivitis. Type of Conjunctivitis Causative agent/ Example Acute / Epidemic - haemorrhagic conjunctivitis (Apollo / Jai Bangla C.) Mnemonic - "PACE" Picorna virusQ (usually Enterovirus 70) Adeno virus 11Q Coxsackie virus A-24Q Enterovirus 70Q Subconjuctival haemorrhage is also seen * Infection in Pneumococcus (Streptococcus pneumoniae)Q - Koch-Week's bacillusQ - H. influenzaeQ * Head injury, local trauma. * Venous congestion due to persistent cough or compression of chest or neck * Vicarious mensturationQ * Blood dyscrasias eg. leukemia, purpura, haemophilia * Hypertension & arteriosclerosis Acute membranous conjunctivitis * Corynebacterium diphtheriaeQ * Streptococcus haemolyticus (Virulent type)Q Pseudo-Membranous conjunctivitis * Bacterial infection - Corynebacterium diphtheriae (low virulence)Q Staphylococcus aureusQ - 13-Hemolytic streptococci - Streptococcus pneumoniae (Pneumococcus)Q - Haemophilus aegyptusQ, H. influenzae Neisseria gonorrhoeaeQ * Viral infection Herpes simplex - Adenoviral epidemic keratoconjunctivitis * Chemical irritants - Acids, Ammonia, lime - AgNO3, CuSO1 Angular (Diplobacillary) Conjuctivitis Moraxella lacunataQ, M. axenfeldo and rarely staphylococci Trachoma Chlamydia trachomatis A,B, Ba, CQ Acute Follicular conjunctivitis: - Adult/ Acute - Inclusion Conjuctivitis or Swimming Pool Conjunctivitis Chlamydia trachomatis (serotypes D-K)Q - Epidemic Kerato Conjunctivitis Adenovirus serotype 8, 19 (sometimes 3, 7) - Pharyngoconjuctival Fever Adenovirus 3, 4, 7 - Acute Herpatic Conjunctivitis - Herpes simplex virus type IQ (m.c.) - HSV type 2 (mostly cause genial infections but sometimes may involve eye) - New castle conjunctivitis New castle virus Chronic follicular conjunctivitis - Molluscum contagiosum - Topical preparations eg. Idoxuridine (IDU), pilocarpine, eserine, adrenaline, DFP Benign/school folliculosis d/ t mild infection in school age children Opthalmia neonatorum - Chemical (AgNO3) Q 1 < 2 days - N. gonorrhoea Q - Staphylococcus aureus Q - Streptococcus pneumoniae 2-3 days - Streptococcus hemolyticus - Herpes simplex - II virus - 5-7 days - Chlamydia trachomatis D-K serotype Q (Neonatal inclusion conjunctivitis) - > 7 days Allergic conjunctivitis * Delayed (type IV) hypersensitivity response to endogenous Phlyctenular keratoconjunctivitis - Staphylococcus proteins (m.c. cause) Q[1 - Tuberculous proteins (previously considered m.c. cause) Q - Moraxella axenfeld bacillus & worm infestation - Giant papillary conjunctivitis - Contact lens Q Left out nylon suture - Contact dermoconjunctivitis Topical atropine, penicillin, neomycin, soframycin & gentamycin Spring catarrh, hay fever conjunctivitis, atopic keratoconjunctivitis Exogenous allergens as pollen Granulomatous conjunctivitis TB, Sarcoid, Leprosy, Syphilis, Tularemia, Opthalmia-nodosa (caterpillar hair conjunctivitis)